Water Deprivation Test is used to assess
1. Glomerular Function
2. Proximal Tubular Function
3. Distal Tubular Function
4. Renal Plasma Flow

Correct answer: 3. Distal Tubular Function

Explanation: Answer is C (Distal Tubular Function) Water Deprivation Test is used to assess Distal Tubular Function. Water Deprivation Test Water deprivation test is used to assess the tubule's ability to concentrate urine. When a normal person is deprived of water, ADH secretion occurs, which acts on the distal tubule and collecting ducts, making them freely permeable to water, allowing reabsorption of water from these segments, thereby producing concentrated urine. Inability to concentrate urine during the water deprivation test thereby suggests dysfinction of distal tubules and helps to identifi, nephrogenic diabetes insipidus.